Okazaki fragments are formed during
1. Transcription
2. Translation
3. DNA replication
4. None

Correct answer: 3. DNA replication

Explanation: DNA replication is semiconservative. Each strand in the double helix acts as a template for synthesis of a new, complementary strand. New DNA is made by enzymes called DNA polymerases, which require a template and a primer (starter) and synthesize DNA in the 5' to 3' direction. During DNA replication, one new strand (the leading strand) is made as a continuous piece. The other (the lagging strand) is made in small pieces. DNA replication requires other enzymes in addition to DNA polymerase, including DNA primase, DNA helicase, DNA ligase, and topoisomerase. Ref-Sathyanarayana 4/e p399